At the time of delivery,a growth restricted fetus would be prone to all of the following neonatal complications except
1. Meconium aspiration
2. Hypothermia
3. Hyperglycemia
4. Polycythemia

Correct answer: 3. Hyperglycemia

Explanation: Growth-restricted fetuses more commonly pass meconium due to the intra uterine stress; therefore aspiration is a concern at the time of delivery. In addition, growth-restricted fetuses compensate for poor placental oxygen transfer by having a polycthemia that can then result in multiorgan thrombosis at or after birth. At the time of delivery, such infants may suffer from hypoxia due to placental insufficiency. Infants with IUGR have less subcutaneous fat deposition; therefore, hypothermia and hypoglycemia are a potential concern.